HLA antigens observed on ocular dendritic cells are:
1. Class I
2. Class II
3. Class I and II
4. None

Correct answer: 3. Class I and II

Explanation: Ans. c. Class I and II I and 11 HLA antigens are observed on ocular dendritic cells. "Class I antigens exists on stromal keratocytes. Class II antigens have recently been found in the corneal stroma on dendritic cells. Although previously not thought to exist on the corneal endothelium, more sensitive methods have identified class I antigens here."- Robbins 8/e p192 HLA antigens in Ocular Structures HLA antigens have been described in all layers of the cornea. Q Both class I and II antigens are found in the corneal epitheliumQ Most of the class II antigens being found on Langerhans cells, which are located more in the corneal periphery Class I antigens exists on stromal keratocytesdeg.Class II antigens have not been identified on normal endothelium but have been detected on the endothelium of rejected corneas. Class II antigens have recently been found in the corneal stroma on dendritic cells. Although previously not thought to exist on the corneal endothelium, more sensitive methods have identified class I antigens hereQ orneal endothelial and stromal cells can be induced to express HLA-DR antigens. A and B blood group antigens have also been identified in the cornea